A female presents with placenta previa with active bleeding and blood pressure of 80/50 mm Hg and pulse rate of 140 bpm. The choice of anaesthesia for emergency cesarean section in this female is?
1. General anesthesia with intravenous propofol
2. General anesthesia with intravenous ketamine
3. Spinal anesthesia
4. Epidural anesthesia

Correct answer: 2. General anesthesia with intravenous ketamine

Explanation: Ans. (B) General anesthesia with intravenous ketamine(Ref: Williams Obstetrics 24th/e p518; Morgan 4th/197-199)The patient is presenting with shock, so spinal anesthesia cannot be used. Among the general anesthetics, ketamine is drug of choice for induction in patients with low blood pressure.